A patient was treated with amitriptyline for depression, developed urinary retention, constipation & blurring of vision. The most likely cause is -
1. Symptoms of depression persisting
2. Anticholinergic side effects
3. Depression medicamentosa
4. Any of above

Correct answer: 2. Anticholinergic side effects

Explanation: Amitriptyline and other TCAs produce anticholinergic side effects which are manifested as dry mouth (↓ salivation) blurred vision, urinary retention, constipation, decreased sweating.